Which among Following drugs does not commonly produce fixed drug eruptions:
1. Tetracycline
2. Ibuprofen
3. Sulphonamides
4. Mepacrine

Correct answer: 4. Mepacrine

Explanation: Mepacrine